Within an hour after cementation of cast gold onlay patient complains of shooting pain every time the teeth comes together. Most probable explanation is?
1. Supraocclusion of restoration
2. Retained cement in gingival sulcus
3. Excess acid in mix
4. Galvanic current caused by gold onlay occluding with a large restoration

Correct answer: 4. Galvanic current caused by gold onlay occluding with a large restoration